All are true regarding Hanta virus Except ?
1. DNA virus
2. Carried by rodents
3. Causes recurrent respiratory infection
4. Haemorrhagic manifestation may occur

Correct answer: 1. DNA virus

Explanation: Ans. is 'a' i.e., DNA virus . It is a RNA virus belonging to family Bunyaviridae. . Transmission is from rodent to rodent and rodent to human is primarily respiratory, by inhalation of the virus contained in dried excreta. . Hantavirus species are natural pathogens of rodents - field mice being the major host . Disease caused by Hantaviruses : - Milder epidemic nephritis - Serious epidemic hemorrhagic fever - Hantavirus pulmonary syndrome